Datura poisoning is characterized by:
1. Pinpoint pupil
2. Dilated salivary gland
3. Dilated pupil with facial flush
4. Decreased temperature

Correct answer: 3. Dilated pupil with facial flush

Explanation: Ans. Dilated pupil with facial flush